Run-amok is a feature of poisoning with:
1. Opium
2. Dhatura
3. Cannabis
4. Alcohol

Correct answer: 3. Cannabis

Explanation: Ans. Cannabis